Which of the following antibodies is highly specific for systemic lupus erythematosus -
1. Anti-Sm
2. Anti-RO-1
3. Anti-UIRNP
4. Anti-Centeromere

Correct answer: 1. Anti-Sm

Explanation: Ans. is 'a' i.e., Anti-Sm